A forceps rotation of 30deg from left occiput anterior (LOA) to occiput anterior (OA) with extraction of fetus from +2station is described as which type of forceps delivery?
1. High forceps
2. Mid forceps
3. Low forceps
4. Outlet forceps

Correct answer: 3. Low forceps

Explanation: Presence of fetal head at +2station indicate low forceps delivery. High forceps -head not engaged Mid cavity forceps-head engaged, presenting part above +2station Low forceps -head at +2or below it but not at reached pelvic flow Outlet-head at or on perineum. Ref: Datta Obs 9e pg 533, table 37.2